Drug of choice for genital was is
1. Acyclovir
2. Podophyllin
3. Minocycline
4. Interferon alpha

Correct answer: 2. Podophyllin

Explanation: WAS:- Caused by human papilloma virus. Anogenital was caused by HPV 6,11,16,18,31,33. Out Of these 6 is mostly involved. These virus invade squamous epithelium and trigger cell proliferation. Viruses mainly being transmitted by fomites ,scratching, and auto inoculation. Pink to brown way papules in perianal/genital areas. Podophyllin 20% in tincture benzoin is the treatment of choice in antigenital was,but is contraindicated in pregnant women. {Reference: IADVL textbook of dermatology, vishalakshi Vishwanath pg no.67.}